Insulin increases the activities of all of the following enzymes, EXCEPT
1. Glucokinase
2. Pyruvate carboxylase
3. Glycogen synthase
4. Acetyl-CoA carboxylase

Correct answer: 2. Pyruvate carboxylase

Explanation: Insulin suppresses gluconeogenesis by suppressing the enzymes glucose 6 phosphatase, PEP, carboxykinase and pyruvate carboxylase. Biological effects of insulin: Metabolism Key enzyme Action of insulin on the enzyme Carbohydrate Translocase Glucokinase PFK Pyruvate kinase Pyruvate carboxylase PEPCK Fructose 1,6 bisphosphatase Glucose-6-phosphatase Glycogen synthase Glycogen phosphorylase Stimulation Stimulation Stimulation Stimulation Inhibition Inhibition Inhibition Inhibition Activation Inactivation Lipid Acetyl CoA Carboxylase Glycerol kinase Hormone sensitive lipase HMG CoA reductase Stimulation Stimulation Inhibition Stimulation Protein Transaminases Ornithine transcarbamoylase RNA polymerase and ribosome assembly Inhibition Inhibition Favoured Ref: Textbook of Biochemistry for Medical Students By D. M. Vasudevan, page 321.Principles of Biochemistry and Biophysics By Dr. B.S. Chauhan page 341.